The pathogenicity of Entamoeba histolytica is indicated by -
1. Zymodeme pattern
2. Size
3. Nuclear pattern
4. ELISA test

Correct answer: 1. Zymodeme pattern

Explanation: Cultures are not used routinely but may on occasion prove positive in cases found negative by microscopy. Cultures permit the determination of zymodeme patterns for differentiation between pathogenic and nonpathogenic strains. TEXTBOOK OF MEDICAL PARASITOLOGY,CKJ PANIKER,6TH EDITION,PAGE NO 25